Written statement signed under oath before magistrate in the presence of accused or his lawyer is called:
1. Summon
2. Panchanama
3. Dying deposition
4. Dying declaration

Correct answer: 3. Dying deposition

Explanation: Dying deposition is a statement of a person on oath recorded by Magistrate in presence of accused or his lawyer who is allowed to cross examine the witness.